Which of the following statements related to gastric injury is not true?
1. Mostly related to penetrating trauma
2. Treatment is simple debridement and suturing
3. Blood in stomach is always related to gastric injury
4. Heals well and fast

Correct answer: 3. Blood in stomach is always related to gastric injury

Explanation: Ans. (c) Blood in stomach is always related to gastric injuryRef: Sabiston 19/e p461-462* Blood in stomach may come from esophageal injury, or from bleeding periampullary lesion can regurgitate, peptic ulcers etc.* MC mechanism of stomach injury is Penetrating injury